Purkinje cells from the cerebellum end in
1. Cerebral cortex
2. Cerebellar nuclei
3. Cranial nerve nuclei
4. Extrapyramidal system

Correct answer: 2. Cerebellar nuclei

Explanation: The output of purkinje cells is inhibitory to the cerebellar nuclei